Delirient poison is :
1. Dhatura
2. Alcohol
3. Opium
4. ArsenicParacetamol toxicity

Correct answer: 1. Dhatura

Explanation: A i.e. Dhatura